Congenitally missing teeth are the result of failure in which stage of development?
1. Initiation
2. Morphodifferentiation
3. Apposition
4. Calcification

Correct answer: 1. Initiation

Explanation: Initiation and proliferation are the only possibilities for congenitally absent teeth, the bud and cap stages, respectively. In the histodifferentiation stage, the teeth are present; failure in this stage results in structural abnormalities of the enamel and dentin. Failure in the morphodifferentiation stage results in size and shape abnormalities.